Which enzyme is not seen in urea cycle?
1. Carbamoyl Phosphate Synthetase II
2. Carbamoyl Phosphate Synthetase I
3. Argininosuccinate Synthetase
4. Arginase

Correct answer: 1. Carbamoyl Phosphate Synthetase II

Explanation: Ans. is 'a' i.e., Carbamoyl Phosphate Synthetase II* Carbamoyl Phosphate Synthetase I is an enzyme of Urea cycle* Carbamoyl Phosphate Synthetase II is an enzyme of Pyrimidine synthesis* Enzymes of Urea cycle are:# Carbamoyl Phosphate Synthetase I# Ornithine Transcarbamoylase# Argininosuccinate synthetase# Argininosuccinate Lyase# Arginase